In NRHM, the ASHA workers are recruited from the same village. Which part of principles of primary health care is followed here?
1. Intersectorial coordination
2. Equitable distribution
3. Appropriate technology
4. Community participation

Correct answer: 4. Community participation

Explanation: Ref: Park's Textbook of Preventive and Social Medicine. 22nd edition. Pages 413, 833Explanation:Principles of Primary Health Care and Its ImplementationPrinciple of Primary Health CareExampleImplementation in NRHMIntersectorial coordinationElimination of malnutritionVillage health nutrition dayKquitable distributionEveryone should get equal chance of health careVillage Health Sanitation Committee (VHSC) formationAppropriate technologyORS for diarrheaMother cardCommunity participationBare foot doctors* ASHA* VHSC* R KS (Rogi Kalyan Samiti)ACCREDITED SOCIAL HEALTH ACTIVIST (ASHA)Launched as a part of National Rural Health Mission (NRHM).Main aim is to strengthen Primary health care at village level.ASHA will create health awareness and ensure delivery of health services at the grass root level in the community.Selection CriteriaOne ASHA for 1000 population.Must be resident of same village.A woman (Married/ Wider wed/ Divorced) in the age group of 25 - 40 years.Should have received formal education upto Class 8.Should have good communication skills and leadership qualities.JUSTIFIC ATION FOR SELECTION CRITERIAASHA worker is from same village, and she will know the village and people from the village better than an outsider.She will have feeling of *we\ 'us' and *ouf.Also, people from a village listen better and accept things when person from the same village communicates on health.Duties and RenumerationReceive 'Outcome based renumerationLUnder HBNC. ASH A will be paid Rs 250 for the care of the mother and newborn.If an ASHA facilitates an institutional delivery she receives Rs. 600 and the mother receives Rs. 1400.ASH As also receive Rs. 150 for each child completing an immunization session and Rs. 150 for each individual who undergoes family planning.* She will be conducting:o 6 visits in case of institutional delivery (Days 3, 7, 14, 21. 28 and 42)o 7 visits in case of home delivery (Days l. 3. 7. 14. 21. 28 and 42).Health Care Personnel at Village LevelHealth care personnel at village levelSchemeVillage health guideVillage health guide schemeAnganwadi workerIntegrated Child Development Scheme- ICDSLocal DhaiRural Health SchemeAccredited Social Health Activist (ASHA)National Rural Health Mission (NRHM)